Fuelgen reaction is a cytochemical test for-
1. M.RNA
2. T. RNA
3. DNA
4. All of the above

Correct answer: 3. DNA

Explanation: Ans. is 'c' i.e., DNA